Pt with complains of dysphagia can take liquid only and history of smoking and weight loss
1. Achalasia cardia
2. Barrets esophagus
3. Carcinoma esophagus
4. None

Correct answer: 3. Carcinoma esophagus

Explanation: Answer- C. Carcinoma esophagus History of smoking - A risk factor for esophageal carcinoma.Dysphagia for solid food (as patient can take only liquid) - Symptom of carcinoma esophagusDysphagia more for solid than liquids occurs in :carcinoma esophagusStrictures and webs